Strain used in Mumps vaccine
1. Oka
2. Jeryl Lynn
3. Danish 1331
4. Edmonston Zagreb

Correct answer: 2. Jeryl Lynn

Explanation: Strains in Mumps Jeryll Lynn strain RIT 4385 Leningrad 3 strain L-Zagren strain Urabe strain Rubini strain Strains in Measles Edmonston-Zagreb strain Schwatz strain Moraten strain